Which one of the following conditions commonly predisposes to Colonic carcinoma?
1. Ulcerative colitis
2. Crohn's disease
3. Diverticular disease
4. Ischaemic colitis

Correct answer: 1. Ulcerative colitis